The Least common quadrant in cancer breast is
1. Superior outer
2. Inferior outer
3. Sub areolar
4. Lower inner quadrant

Correct answer: 4. Lower inner quadrant

Explanation: Ans. (d) Lower inner(Ref: Bailey and Love Principles and Practice of Surgery, 26th ed p-811)* MC site - Upper outer* Least Common - Lower Inner